Gastic erosions are likely to be associated with the following conditions except -
1. Pernicious anaemia
2. Cor pulmonale
3. Polycythemia rubra vera
4. Hepatic cirrhosis

Correct answer: 1. Pernicious anaemia